Mucoperichondrial flap in septoplasty is made on
1. Alar cartilage
2. Septal cartilage
3. Maxillary spine
4. Sphenoid spine

Correct answer: 2. Septal cartilage

Explanation: In cases of deviated septum, make a slightly curvilinear incision, 2-3 mm above the caudal end of septal cartilage on the concave side (Killian's incision). In case of caudal dislocation, a transfixion or hemitransfixion (Freer's) incision is made. The latter is septocolumellar incision between caudal end of septal cartilage and columella. Raise mucoperichondrial or mucoperiosteal flap on one side only. Separate septal cartilage from the vomer and ethmoid plate and raise mucoperiosteal flap on the opposite side of septum. Ref: Dhingra 7e pg 473.